Risk factor for carcinoma stomach include all of the following, except
1. Blood group A
2. Atrophic Gastritis
3. Duodenal Peptic ulcer
4. Partial Gastrectomy

Correct answer: 3. Duodenal Peptic ulcer

Explanation: Risk factors are:Long-term ingestion of high concentration of nitratesH.pyloriIntestinal metaplasia in patients with atrophic gastritisGastric ulcers and adenomatous polypsMenetrier's diseasePatients with blood group A have a higher incidence of Ca stomach than blood group ONote: duodenal ulcers are not associated with gastric cancer.Ref: Harrison's 18/e p766